An Afroamerican boy DI car ui age presented with abdominal pain, chronic hemolysis and abnormal RBC shape on peripheral smear. Most likely disorder responsible for this condition:
1. Point mutation
2. Trinucleotide repeat
3. Antibody against RBC membrane
4. Genomic imprinting

Correct answer: 1. Point mutation

Explanation: Ans. a. Point mutation